Moderate papillary recession with slightly open incremental space is classified as:
1. Class 1 embrasure.
2. Class 2 embrasure.
3. Class3 embrasure.
4. Class4 embrasure.

Correct answer: 2. Class 2 embrasure.